Which of the following are associated with supracondylar fracture of humerus
1. It is uncommon after 15 yrs of age
2. Extension type fracture is more common than the flexion type
3. Cubitus varus deformity commonly results following malunion
4. All of the above

Correct answer: 4. All of the above

Explanation: Supracondylar fracture of humerus: Occurs most commonly in children It is an hyperextension injury It may be of flexion type or extension type Cubitus varus deformity occurs as a result of malunion. Ref: Maheshwari and Mhaskar 6e pg 97.